Refractive surgeries for Myopia are all except
1. Radial keratotomy
2. LASIK
3. Photorefractive keratotomy
4. Holium laser thermoplasty

Correct answer: 4. Holium laser thermoplasty

Explanation: Ans. is 'd.' i.e., Holium laser thermoplasty